Cross section of K-flex file is: (OR) K-flex file is traditionally made form
1. Rhomboidal
2. Circular
3. Spiral
4. Double helix

Correct answer: 1. Rhomboidal